Child 1 year age came for vaccination, Polio virus, BCG at birth, what vaccine to be given below -
1. BCG OPV, Hep-B
2. Measles, DPT, OPV, Hib, Hep B.
3. DPT, OPV, Hib, Hep B
4. DPT, OPV, Hep B

Correct answer: 2. Measles, DPT, OPV, Hib, Hep B.

Explanation: Ans. is 'b' i.e., Measles, DPT, OPV, Hip, Hep B. o Lapsed immunization/preponed immunization/ unknown immunization status There is no need to restart a vaccine series regardless of the time that has elapsedbetween individual doses due to immune memoryio Immunizations should be given at the next visit as if the usual interval had elapsed and the immunization scheduled should be completed at the next available opportunity.o Doses should not be given 4 or less days from the minimum interval. Ifinadvertently given 5 or more days from the minimum interval, the dose shoidd not be counted. In case of unknown immunization status, the child should be considered unimmunized and vaccinated accordingly.o Self reported doses should not be accepted in the absence of documentation with the exception of Influenza and PPV vaccines.o Serologic testing is also an option in patients with uncertain status but is usually not cost effective, may reduce compliance and may result in missed opportunities for vaccination.Suggested vaccination scheudle of unimmunised childrenVisitVaccineFirsty Measles (MMR if > 12 months)y DTP ( DTap if > 7 years)y OPV (if less than 5 year)y Hib, (if less than 5 year)y Hep B1Second (after 1 month of first visit)y BCG (if less than 5 year) y DPT OPVy HepB2y Hib2Third (after 1 month)OPV-3MMRTyphoid (In more than 2 year)Fouth (6th month after Ist)DPTOPV-4Hep- B3